Right gastroepiploic artery is a branch of:
1. Right Hepatic artery
2. Gastroduodenal artery
3. Hepatic artery
4. Superior mesenteric artery

Correct answer: 2. Gastroduodenal artery

Explanation: B i.e. Gastroduodenal artery